Branches of the coeliac artery are all except-
1. Splenic artery
2. Left gastric artery
3. Hepatic artery
4. Inferior phrenic artery

Correct answer: 4. Inferior phrenic artery

Explanation: Branches of coeliac trunk are left gastric artery, splenic artery and common hepatic artery.